A 1–month old baby present with frequent vomiting and failure to thrive. There are features of moderate dehydration. Blood sodium in 122 mEq/1 and potassium is 6.1 mEq/1. The most likely diagnosis is –
1. Gitelman syndrome
2. Bartter syndrome
3. 21–hydroxylase deficiency
4. 11–β hydroxylase deficiency

Correct answer: 3. 21–hydroxylase deficiency

Explanation: Blood parameters indicate Hyponatremia and Hyperkalemia in this patient. All conditions other than 21 hydroxylase deficiency present with Hypokalemia.